Which protein prevents contraction by covering binding sites on action and myosin :
1. Troponin
2. Calmodulin
3. Thymosin
4. Tropomyosin

Correct answer: 4. Tropomyosin

Explanation: D i.e. Tropomyosin